Length of ureter is:
1. 15 cm
2. 20 cm
3. 25 cm
4. 30 cm

Correct answer: 3. 25 cm

Explanation: 25 cm